Which of the following relaxes bronchial smooth muscles?
1. Cold air
2. Leukotriene
3. Ach
4. VIP

Correct answer: 4. VIP

Explanation: Introduction. A major symptom of asthma is an excessive contraction of airway smooth muscle cells (SMCs) which results in airway hyper-reactivity. To alleviate this acute and chronic airway constriction, b-adrenergic agonists, that relax SMCs, are commonly administered Ref: guyton and hall textbook of medical physiology 12 edition page number:331,332,333